Agent of Epilation:
1. 5-Flurouracil
2. Cisplatin
3. Adriamycin
4. Methotrexate

Correct answer: 3. Adriamycin

Explanation: Ans: c AdriamycinRef: Cancer Symptom Management Vol. 1, pg, 563Most probably what is meant is which of these drugs causes alopecia. Epilation is the removal of the entire hair, including the part below the skin.Depilation is the removal of the part of the hair above the surface of the skin. E.g., trimming or creams.Chemotherapy agents that produce hair lossHigh potential Moderate potential Low to no potential for alopeciaCyclophosphamide 5 flouro uracil Bleomycin Doxorubicin Cisplatin Busulfan Paclitaxel DactinomycinDacarbazine Daunorubicin Methotrexate Gemcitabine Etoposide Vinblatine L asparaginase IfosfamideVincristine MelphalanMitomycin Procarbazine"One agent classically linked to alopecia, doxorubicin (Adriamycin) causes significantly more epilation at doses of >50 mg/ sq m."Though all the options given can cause alopecia, doxorubicin is the one mentioned as classically linked to alopecia.Also note: Hair loss typically begins to appear 2-3 weeks after the first exposure to the drug.Chemical depilators contain calcium thioglycolate, whichbreaks down disulphide bonds in keratin so that the hair iseasily scraped off where it emerges from the hair follicle.